Active from of vitamin D is:
1. Cholecalciferol
2. 24, 25 (OH) 2 Vit-D
3. 1, 25 (OH) 2 Vit-D
4. 25-OH Vit-D

Correct answer: 3. 1, 25 (OH) 2 Vit-D

Explanation: Ans. (c) 1, 25 (OH) 2 Vit-D(Ref: Ganong, 25th ed/p.377)The active form of vitamin D is called 1, 25- dihydroxycholecalciferol or calcitriol